Lower 1/3 of vagina is formed by
1. Mesonephric duct
2. Paramesonephric duct
3. Sinovaginal bulb
4. Mesoderm of mullerian duct

Correct answer: 3. Sinovaginal bulb

Explanation: Lower 2/3rd of vagina formed from sinovaginal bulb which comes from endoderm of urogenital sinus. Upper 1/3rd of vagina is derived from fused paramesonephric duct. Mesonephric duct forms the collecting part or ductular part of male reproductive system. Mesoderm of Mullerian duct is basically paramesonephric duct.